A dental instrument which creates aerosols containing large number of microorganisms is the:
1. Evacuator
2. Ultrasonic scaler
3. Amalgam condenser
4. Endodontic reamer

Correct answer: 2. Ultrasonic scaler